Citrate is a useful anticoagulant because of its ability to
1. Buffer basic groups of coagulation factors
2. Bind factor XII
3. Bind vitamin K
4. Chelate calcium

Correct answer: 4. Chelate calcium